Which is the treatment of choice for OCD?
1. Exposure and response prevention
2. Psychoanalysis
3. Flooding
4. Modeling

Correct answer: 1. Exposure and response prevention

Explanation: Ans. A. Exposure and response preventionPsychotherapies used in OCDCBT relies primarily on behavior technique of exposure & response prevention (ERP)which has the best evidence. Exposure (to stimulus which induce obsessional thoughts) & response prevention (asking patient not to indulge in compulsive behavior)Other therapies: desensitization,thought stopping- give stimulus to stop thought like may bang table, later can do mentally flooding & aversive conditioningPsychodynamic psychotherapy, family therapy may also be used